Bone affection in scurvy is due to which of the following
1. Poor mineralization of the osteoid tissue
2. Defective osteoid matrix formation
3. Defective calcification in osteoid
4. Increased degradation of osteoid tissue

Correct answer: 2. Defective osteoid matrix formation

Explanation: The most clearly established function of vitamin C is the activation of prolyl and lysyl hydroxylases from inactive precursors, allowing for hydroxylation of procollagen. Inadequately hydroxylated procollagen cannot acquire a stable helical configuration or be adequately cross-linked, so it is poorly secreted from the fibroblasts. Those molecules that are secreted lack tensile strength, are more soluble, and are more vulnerable to enzymatic degradation.collegen is required for osteoid matrix formation. Reference: Robbins basic pathology, pg no:301